Megaloblastic anaemia is caused by -
1. Diphyllobothrium latum
2. Schistosoma hematobium
3. Echinococcus granulosus
4. Taenia solium

Correct answer: 1. Diphyllobothrium latum

Explanation: Ans. is 'a' i.e., Diphylloboturium latum * Following parasites cause anemiai) Ancylostoma duodenale-Iron deficiency anemia (microcytic hypochromic)ii) Necator americans-Iron deficiency anemia (microcytic hypochromic)iii) Babesia-Haemolytic anemiaiv) Diphyllobothrium latum -Megaloblastic (VitB12 def. anemia)v) Leishmania donovani-Autoimmune hemolytic anemiavi) Plasmodium sp-Autoimmune hemolytic anemiavii) Trichuris trichura-Iron deficiency (microcytic hypochromic)